The first book on child dentistry was published by
1. G W Wright
2. Joseph Hurlock
3. Granuldy
4. Robert Buna

Correct answer: 2. Joseph Hurlock